Which of the following cell organelle is rich in catalases?
1. Mitochondria
2. Ribosome
3. Peroxisome
4. Cell membrane

Correct answer: 3. Peroxisome

Explanation: Peroxisomes are 0.5 m in diameter, are surrounded by a membrane, and contain enzymes that can either produce H2O2 (oxidases) or break it down (catalases). Ref: Ganong's Review of Medical Physiology 23rd edition, Chapter 2.